Sublingual salivary glands are drained by 8-20 excretory ducts called:
1. Bartholins duct
2. Ducts of Rivinus
3. Wharton duct
4. Stenson duct

Correct answer: 2. Ducts of Rivinus

Explanation: Sublingual salivary glands are drained by 8 – 20 excretory ducts called the of rivinus. The largest (major) duct of these is called the Bartholins duct.